True about cadaveric spasm is?
1. Shows primary relaxation
2. Occurs immediately after death
3. It does not indicates the mode of death
4. Spreads to multiple groups of muscles.

Correct answer: 2. Occurs immediately after death

Explanation: Ans. is 'b' i.e., Occurs immediately after death Cadaveric spasm (instantaneous rigor or cataleptic rigidity)o Instantaneous rigor is defined as the condition wherein a group of muscles, which were in contracted state at the time of death, continue to be in spasm after death, without the stage of primary relaxation. It develops immediately after death. Therefore, this stage preserves the attitude of the person at the time of death.o Cadaveric spasm affects voluntary muscles and is limited to single group of muscles.o It tells the mode of death, suicide/homicide.o Preconditions for cadaveric spasm are :1) Sudden somatic death (no molecular death)2) A group of muscles in contraction, i.e. physical activity at the time of death.3) Extensive emotional activity at the time of death, e.g. excitement, fear etc.